Myelin in CNS
1. Oligodendrocyte
2. Schwann cell
3. Astrocyte
4. Microglia

Correct answer: 1. Oligodendrocyte

Explanation: Oligodendrocytes - myelin formation in cnsSchwann cells - myelin formation in pns Ref: Ganong's review of medical physiology; 23rd edition; pg:80